All the following statements about purification of water are true except
1. Coliforms must not be detectable in any 100 ml sample of drinking water
2. Presence of clostridial spores indicate recent contamination
3. Sodium thiosulphate is used to neutralize chlorine
4. Coliforms may be detected by multiple tube method and indole production at 44 degrees

Correct answer: 2. Presence of clostridial spores indicate recent contamination